Which of the following drugs causes extra pyramidal symptoms:
1. Antibiotics
2. Salicylates
3. Barbiturates
4. Phenothiazines

Correct answer: 4. Phenothiazines